An epiphyseal bone lesion is -
1. Osteogenic sarcoma
2. Chondroblastoma
3. Ewing's sarcoma
4. Chondromyxoid fibroma

Correct answer: 2. Chondroblastoma

Explanation: Chondroblastoma also reffered to as codman tumours are rare benign cartilaginous neoplasms that charecteristically arise in the epiphysis or apophysis of along bone in young patients. It has high occurence and high chance of metastasis. ref img